The enzyme which transcripts a double stranded DNA copy from a single stranded RNA template molecule is:
1. DNA polymerase
2. RNA polymerase
3. Reverse transcriptase
4. Phosphokinase

Correct answer: 3. Reverse transcriptase

Explanation: Reverse transcriptase transcripts a double stranded DNA copy from a single stranded RNA template. This enzyme is programmed to use a single-stranded RNA template, and to synthesize a complementary DNA (cDNA) strand. Ref: Measuring Gene Expression, Matthew B. Avison, 2007, Page 135